Which of the following is a single most important indicator of likelihoods of progression of hepatitis to liver cirrhosis -
1. Etiology
2. Associated serological findings
3. Presence of bridging necrosis
4. Presence of mallory hyaline

Correct answer: 1. Etiology

Explanation: The single most indicator of the likelihoods of rapid progression chronic hepatitis to cirrhosis is underlying etiology.